PPI's for peptic ulcer disease should be taken:
1. Before breakfast
2. After breakfast
3. After lunch
4. After dinner

Correct answer: 1. Before breakfast

Explanation: Ans. (a) Before breakfastRef: Sabiston 19th Edition, Page 1194* PPI need acid environment to become activated. Hence given in empty stomach preferably before breakfast.* Antacids and H2 blockers must not be used with PPI.